Tyrosinosis is caused due to deficiency of which enzyme?
1. Fumaryl acetoacetate hydrolase
2. p-hydroxy phenyl pyruvate dehydrogenase
3. Tyrosine transaminase
4. Tyrosine ligase

Correct answer: 1. Fumaryl acetoacetate hydrolase

Explanation: There are 3 Types of Tyrosinemia Disease Enzyme deficient / deficiency features Tyrosinemia type I or Tyrosinosis/ Hepatic renal Tyrosinemia/ Hereditary Tyrosinemia Fumaryl Aceto Acetate Hydrolase Most common Tyrosinemia Type II or Richner Hanhart Syndrome aka occulo cutaneous Tyrosinemia Tyrosine Transminase Eyes and skin are involved. Tyrosinemia Type III or Neonatal Tyrosinemia Complete deficiency of PHPP (Para Hydroxy - Phenyl Pyruvate) Hydroxylase Partial deficiency, of PHPP Hydroxylase is called as Hawkinson Urea CATABOLISM OF PHENYL-ALANINE AND TYROSINE